40 years old male patient came with complaint of dry cough and dyspnoea. On lung function tests, restrictive pattern of decreases lung function is seen. Chest x-ray showed few reticular opacities in bilateral lung. HRCT of lung was performed which shows GGO in bilateral lung fields sparing sub-pleural region. Most probable diagnosis is
1. UIP
2. NSIP
3. Hypersensitivity pneumonitis
4. Respiratory bronchiolitis

Correct answer: 2. NSIP

Explanation: Interstitial Lung Disease UIP (Usual interstitial pneumonia) NSIP (Non - specific interstitial pneumonia) Reticular opacities Traction bronchiectasis Subpleural honeycombing Subpleural sparing